In granuloma, epithelial and giant cells are derived from:
1. T cells
2. B cells
3. Plasma cells
4. Monocyte

Correct answer: 4. Monocyte